Helsinki declaration is related to
1. Torture
2. Human experimentation
3. Illegal abortion
4. Rights of the patient

Correct answer: 2. Human experimentation

Explanation: Answer: b) Human experimentation (KS NARAYAN REDDY 33rd ED P-647)* Declaration of Geneva: revision of the Hippocrates Oath* Declaration of Tokyo: guidelines for doctors concerning Torture* Declaration of Helsinki: ethical principles for medical research involving uman subjects* Declaration of Oslo: therapeutic abortion* Declaration of Syndey: when to pronounce death* Declaration of Malta: hunger strikers.* Declaration of Lisbon: rights of the patient* Declaration of Ottawa: child health